Most common location of thyroglossal cyst is
1. At Foramen cqecum
2. Subhyoid
3. Supra hyoid
4. Between hyoid & thyroid

Correct answer: 2. Subhyoid

Explanation: Thyroglassal cyst is the reminant of thyroglossal tract and stihyoid thyroglossal cyst is the most common subtype.